Acute complication of PEM -
1. Hypothermia
2. Hypoglycemia
3. Hypokalemia
4. All

Correct answer: 4. All

Explanation: Ans. is 'a' i.e., Hypothermia; 'b' i.e., Hypoglycemia; 'c' i.e., Hypokalemia Acute complications of malnutrition (Mnemonic - SHIELDED) S --> Sugar deficiency, i.e. Hypoglycemia H --> Hypothermia I --> Infection and septic shock FL --> Electrolyte imbalance ---> reduced intracellular sodium, hypokalemia & hypomagnesemia. FE --> Dehydration --> Deficiency of iron, vitamins and other micronutrients.